Not associated with damage during submandibular excision ?
1. Lingual
2. Hypoglossal
3. Gossopharyngeal
4. Mandibular branch of facial

Correct answer: 3. Gossopharyngeal

Explanation: Ans. is 'c' i.e., GlossopharyngealCervical branch of facial nerve is related to inferior surface of submandibular gland. Lingual nerve and hypoglossal nerve are related to submandibular gland. Thus, these nerve can be damaged during submandibular gland excision.